Uterus is supported in the pelvis by all of the following except:
1. Uterosacral ligament
2. Broad Ligament
3. Mackenrodts ligament
4. Levator ani

Correct answer: 2. Broad Ligament

Explanation: Broad ligaments are structures which are thought to play a minor role in supporting the uterus. Broad ligaments attach the uterus to the pelvic wall on each side but provide less or no support.Ref: Clinical Anatomy by Regions, Richard S. Snell, 8th Edition, Chapter 7, Page 368; Human Anatomy, B D Chaurasia, 4th Edition, Volume 2, Chapter 31, Page 360, 361.